Most common organism causing fungal infection of oral cavity -
1. Candida
2. Blastomycosis
3. Aspergillosis
4. Cryptococcus

Correct answer: 1. Candida

Explanation: Ans. is 'a' i.e., Candida o The most prevalent fungal infections in oral cavity are those caused by Candida species, especially C albicans.Candidiasis (Moniliasis)o Candidiasis is the most common systemic mycosis.o Candidiasis is an opportunistic endogenous infection and is the most common fungal infection in neutropenic patients. Candida is the most common fungal infection in immunocompetent persons as well.CandidiasisMucocutaneousSystemicChronic mucocutaneouso Oral th rusho Oesophageal thrusho Vulvovaginal thrusho Candida esophagitis (involves lower 3rd of esophagus)o Diarrheao Chronic fatigue syndo Cystitis, pyelitis or renal papillary necrosiso Pneumoniao Endophthalmitiso Vertebral osteomyelitiso Arthritis (M.C. knee)o Endocarditis (previously damaged or prosthetic valve)o MeningitisCandidiasis (CMC) or Candidal granulomao Candida albicans is the most common cause of mucosal candidiasis.